Which hormone is not affected by menstrual cycle -
1. Estrogen
2. Progesterone
3. Gonadotropins
4. Prolactin

Correct answer: 4. Prolactin

Explanation: Ans. is 'd' i.e., Prolactin o Prolactin levels do not fluctuate much during the menstrual cycle.